Inlet of larynx is formed by:
1. Ventricular fold
2. Aryepiglottic fold
3. Glossoepiglottic fold
4. Vocal cord

Correct answer: 2. Aryepiglottic fold

Explanation: The laryngeal inlet (laryngeal aditus, laryngeal aperture) is the opening that connects the pharynx and the larynx. Its borders are formed by: the free curved edge of the epiglottis, anteriorly. the arytenoid cartilages, the corniculate cartilages, and the interarytenoid fold, posteriorly.